Recurrent laryngeal nerve is in close association with:
1. Superior thyroid artery
2. Inferior thyroid artery
3. Middle thyroid vein
4. Superior thyroid vein

Correct answer: 2. Inferior thyroid artery

Explanation: Ans. is 'b' i.e. Inferior thyroid arteryRef: B.D. C 2nd/e Vol III page 137 & 138, Repeat Inferior thyroid artery is a branch of the thyrocervical trunk. During its course it passes behind the carotid sheath and the middle cervical sympathetic ganglion and its terminal part is related to the recurrent laryngeal nerve.More Questions about arterial supply of the thyroid glandThe thyroid gland in supplied by the following arteriesSuperior thyroid artery a branch of the external carotid arterylies in close association with the external laryngeal nerve.Inferior thyroid artery a branch of the thyrocervical trunk (which arises from the subclavian artery)- its terminal part is intimately related to the recurrent laryngeal nerve. Accessory thyroid arteriesarise from tracheal and esophageal arteriesThyroidea ima artery (or the lowest thyroid artery)found in only about 3% of individualsarises from the brachicephalic trunk or directly from the arch of aorta.During thyroidectomy the superior thyroid artery is ligated near to gland (to save the external laryngeal nerve); and the inferior or thyroid artery is ligated away from the gland (to save the recurrent laryngeal nerve)Questions on venous drainage of thyroid glandThe thyroid gland is drained by the following veinsSuperior thyroid vein.Drains in the internal jugular vein orthe common facial veinMiddle thyroid veinAlso drains in the internal jugular veinInferior thyroid veinDrains into the left brachiocephalic veinA fourth thyroid vein (of Kocher), may emerge between middle and inferior veins and drains into the internal jugular vein